False regarding sparrow foot marks
1. Also called as dicing injuries
2. Multiple incised wounds on the face
3. Due to shattering of windscreen glass
4. Relatively superficial

Correct answer: 2. Multiple incised wounds on the face

Explanation: SPARROW FOOTMARKS ARE SHORT LINEAR LACERATIONS ON THE FACE. Sparrow foot marks - Also called as dicing injuries - Multiple short linear, punctate lacerations on the face - Due to shattering of windscreen glass with blunt edges - Relatively superficial injury - Thin pieces of windscreen glass may be embedded in the wounds or may be present in clothing